All are vasodilators except -
1. Procaine
2. Lidocaine
3. Cocaine
4. Chlorprocaine

Correct answer: 3. Cocaine

Explanation: Ans. is 'c' i.e., Cocaine